A 55-year-old man who is on dialysis because of end-stage renal disease complains of pain in his jaw and left arm for 6 months. An X-ray of the left arm reveals multiple, small bone cysts and pathologic fractures. What is the appropriate diagnosis for this patient's bone lesions?
1. Chronic osteomyelitis
2. Marble bone disease
3. Osteitis fibrosa cystica
4. Osteoid osteoma

Correct answer: 3. Osteitis fibrosa cystica

Explanation: Secondary hyperparathyroidism is a complication of chronic renal insufficiency due to renal retention of phosphate and resulting hypocalcemia. Excess PTH causes renal osteodystrophy or, in severe cases, osteitis fibrosa cystica. The latter is characterized by severe bone deformities and the formation of "brown tumors" of hyperparathyroidism. Patients present with bone pain, bone cysts, pathologic fractures, and localized bone swellings (brown tumors). The other choices are not related to hypocalcemia or hyperparathyroidism.Diagnosis: Osteitis cystica fibrosa, hyperparathyroidism